All of the following fluoroquinolones have been withdrawn except –
1. Trovafloxacin
2. Gatifloxacin
3. Gemifloxacin
4. Grepafloxacin

Correct answer: 3. Gemifloxacin

Explanation: Gemifloxacin. All others have been withdrawn.
Trovafloxacin due to hepatotoxicity
Gatifloxacin due to hypo/hyper glycemia
Grepafloxacin due to adverse cardiac events